What is the most common position of appendix?
1. Pelvic
2. Paracolic
3. Retrocaecal
4. Retroperitoneal

Correct answer: 3. Retrocaecal

Explanation: Retrocecal is the most common position of the appendix. Positions of appendix: Retrocecal: 74% Subcecal: 1.5% Pelvic: 21% ref : BD chaurasia 21st ed. Post-ileal: 0.5% Pre-ileal/retro-ileal: 1%